Which of the following sterilization/disinfection agents works by disrupting the cell membrane?
1. Phenols
2. Halogenated compounds
3. Heavy metals
4. Ethylene oxide

Correct answer: 1. Phenols

Explanation: Option 1 They are bactericidal or bacteriostatic and some are fungicidal also. They act by denaturing proteins and disrupting cell membranes. Option 2 Mode of action of Halogens: All preparations yield hypochlorous acid (HClO) which causes oxidative destruction of vegetative bacteria and fungi, but not spores. Option 3 Mode of action of Heavy metals: Heavy metals combine with bacterial cell proteins, often with their sulphydryl groups, and inactivate them. They may also precipitate cell proteins. Option 4 Ethylene oxide sterilizer is one of the widely used gaseous chemical sterilants in present days. It has high penetration power, has both microbicidal and sporicidal activity; acts by combining with cell proteins.